FRC is volume of air in lung after ?
1. Maximal inspiration
2. Maximal expiration
3. Normal inspiration
4. Normal expiration

Correct answer: 4. Normal expiration

Explanation: Ans. is d i.e., Normal expiration